HMB 45 is tumor marker for -
1. Malignant melanoma
2. Mesothelioma
3. Bronchogenic carcinoma
4. Pancreatic carcinoma

Correct answer: 1. Malignant melanoma

Explanation: Ans. is 'a' i.e., Malignant melanoma Markers for melnnonaS-100 - 90% of tumors are positiveHMB-45 - More specific but less sensitive than S-100TA-90Important markersTumoro S-100. HMB-45o TA-90o NMP-22MelanomaMelanoma, colon & breast ca.Urinary bladder ca.Neuroendocrine tumors (small cell ca of lung, carcinoid tumor & neuroblastoma)Ovarian Ca.Ovarian, pancreatic & gastric Ca.Pancreatic & colorectal CaEpithelial ovarian tumorBreast Cancer.o Neuron Specific enalaseoChromouraninAo Lipid associated Sialic acid (LASA-P)o CA 72-4o CA 19-9o CA 125o CA 27.29 &CA 15-3